All are types of cells present in anterior pituitary except:
1. Somatotropes
2. Isotopes
3. Gonadotropes
4. Thyrotropes

Correct answer: 2. Isotopes